Toxin of emetic strain of bacillus cereus resembles in action of
1. Heat stable toxin of S.aureus
2. Heat labile toxin of E.coli
3. Cholera toxin
4. Pseudomonas toxin

Correct answer: 1. Heat stable toxin of S.aureus

Explanation: It is a preformed toxin similar to S.aureus enterotoxin.